Investigation of choice for congenital hypertrophic pyloric stenosis is?
1. Barium meal
2. Ultrasound
3. CT scan
4. MRI

Correct answer: 2. Ultrasound

Explanation: b. Ultrasound(Ref: Nelson's 20/e p 1797-1799, Ghai 8/e p 279-280)USG confirms the diagnosis of congenital hypertrophic pyloric stenosis